Contra indication for nasotracheal intubation
1. Anterior cranial fossa #
2. Middle cranial fossa #
3. Post cranial fossa #
4. GCS < 8

Correct answer: 1. Anterior cranial fossa #

Explanation: In anterior cranial fossa # and maxillo facial injuries it is avoided.